Symptoms from a retroperitoneal sarcoma are usually produced by
1. Bleeding into the tumor mass
2. Compression of adjacent tissues
3. Invasion of retroperitoneal organs
4. Metastases to retroperitoneal lymph nodes

Correct answer: 2. Compression of adjacent tissues

Explanation: Retroperitoneal sarcomas grow along fascial planes and envelop rather than invade retroperitoneal organs.vLymph node metastases are unusual. The tumor does not usually grow rapidly enough to outgrow its blood supply, and major hemorrhage into the tumor mass is uncommon.